A child presented with fever, anemia, Lymphadenopathy and hepatosplenomegaly. All of the following may be a possible cause EXCEPT:
1. ALL
2. TB
3. Leishmaniasis
4. Aplastic anemia

Correct answer: 4. Aplastic anemia

Explanation: -Lymphadenopathy and hepatosplenomegaly are very rare in aplastic anemia. Features of Aplastic anemia: Physical examination -Pallor &/ signs of congestive heart failure Ecchymoses, Petechiae, gum bleeding & epistaxis d/t thrombocytopenia Fever, pneumonia & sepsis d/t neutropenia etc